Normal duration of menstrual flow is :
1. 2-7 days
2. 7-10 days
3. 2 days
4. 5-9 days

Correct answer: 1. 2-7 days

Explanation: Duration of menstruation - 2-7 days Amount of blood loss - 20 to 50 mL with an average of 35 mL. Nearly 70 percent of total menstrual blood loss occurs in the first 2 days.